Band-shaped keratopathy is caused by –
1. Amyloid
2. Calcium
3. Monopolysaccharide
4. Lipid

Correct answer: 2. Calcium

Explanation: Band keratopathy is characterized by the deposition of calcium salts in a band-like pattern in the anterior layers of the cornea.